All of the following are contraceptive implants except:
1. Norplant
2. Implanon
3. Jadelle
4. Mesigyna

Correct answer: 4. Mesigyna

Explanation: Non oral hormonal contraceptives are:
1. Hormone releasing IUCDs
2. Injectable contraceptive -
a. Progesterone only - DMPA

NET EN

b. Combined- cyclofem

mesigyna

c. Injectable vaccine - Antihcg injection.
3. Contraceptive implants:

Norplant I
Norplant II or Jadelle
Implanon

4. Vaginal ring